True about REM sleep is
1. Night mares
2. Night terror
3. Somniloquy
4. None

Correct answer: 1. Night mares

Explanation: ParasomniasParasomnias are dysfunctions or episodic nocturnal events occurring with sleep, sleep stages or partial arousals. Most parasomnias are common in childhood though they may persist into adulthood.Stage 4 Sleep Disorders:These disorders occur during deep sleep, i.e. Stages 3 and 4 of NREM-sleep.Nightmares (which occur during REM sleep) are clearly remembered in the morning. Ref: A Short Textbook of Psychiatry, Niraj Ahuja, 7th Edition, pg. no. 140